Magistrate's inquest is conducted by:
1. District Magistrate
2. Executive Magistrate
3. Sub-Divisional Magistrate
4. Any of the above

Correct answer: 4. Any of the above

Explanation: Ans. Any of the above